Use of reversible hydrocolloid needs
1. Two thermostatically controlled water baths
2. Three thermostatically controlled water baths
3. Four thermostatically controlled water baths
4. Five thermostatically controlled water baths

Correct answer: 2. Three thermostatically controlled water baths